Which of the following drug increases gastro -intestinal motility
1. Glycopyrrolate
2. Atropine
3. Neostigmine
4. Fentanyl

Correct answer: 3. Neostigmine

Explanation: ref;KD Tripathi 7the edition pharmacology (page no;471,114,103) Constipation is a prominent feature of Fentanyl action. Acts on intestines and in CNS-increases tone and segmentation but decreases propulsive movements. Atropine and Glycopyrrolate are anticholinergics. All visceral smooth muscles that receive parasympathetic motor innervation are relaxed by anticholinergics (M3 blockade). Tone and amplitude of contractions of stomach and intestine are reduced; the passage of chyme is slowed-constipation may occur, Neostigmine is an anticholinesterase. Smooth muscle in most organs is contracted (mainly through M3 receptors). Tone and peristalsis in the gastrointestinal tract are increased and sphincters relax=abdominal cramps and evacuation of bowel.